A 20 year old female presented with vaginal discharge which is non irritating and malodorous. Saline wet preparation reveals clue cells. Clue cells are used to detect which type of vaginitis?
1. Bacterial vaginosis
2. Candidal vaginitis
3. Primary syphilis
4. Secondary syphilis

Correct answer: 1. Bacterial vaginosis

Explanation: Clue cells are the most reliable indicators of BV. These vaginal epithelial cells contain many attached bacteria, which create a poorly defined stippled cellular border. The positive predictive value of this test for the presence of BV is 95 percent. Must know: Clinical diagnostic criteria for bacterial vaginosis: Microscopic evaluation of a vaginal-secretion saline preparation Release of volatile amines produced by anaerobic metabolism Determination of the vaginal pH Ref: Hoffman B.L., Schorge J.O., Schaffer J.I., Halvorson L.M., Bradshaw K.D., Cunningham F.G., Calver L.E. (2012). Chapter 3. Gynecologic Infection. In B.L. Hoffman, J.O. Schorge, J.I. Schaffer, L.M. Halvorson, K.D. Bradshaw, F.G. Cunningham, L.E. Calver (Eds), Williams Gynecology, 2e.